Nasolacrimal duct opens into which meatus?
1. Inferior Meatus
2. Middle Meatus
3. SuperiorMeatus
4. Supreme Meatus

Correct answer: 1. Inferior Meatus

Explanation: O Nasolacrimal duct opens in the inferior meatus just anterior to its highest point O It is closed by a mucosal flap called Hasner's valve MEATUS SINUS DRAINING Superior meatus Posterior ethmoid sinus Middle meatus Maxillary sinus Anterior Ethmoid sinus Frontal sinus Inferior meatus Nasolacrimal duct Sphenoethmoidal recess Sphenoid sinus